Pattern of inheritance where mother transmits disease to all children -
1. Mitochondrial inheritance
2. X-linked recessive
3. Autosomal recessive
4. Autosomal dominant

Correct answer: 1. Mitochondrial inheritance

Explanation: Ans. is 'a'i.e., Mitochondrial inheritance o If only female is transmitting the disease to all offsprings and male is not transmitting to any child - mitochondrial inheritance.o If male is transmitting the disease to all the daughters and not to sons whereas female is transmitting to half of sons and half of daughters - A-linked dominanto If only males are affected in a pedigree, disease is likely to be X-linked recessive (females act as carriers; only transmit the disease, themselves remain unaffected.)o If there is no sex predilection and affected individuals transmit the disease to half of the children, it is autosomal dominant.o If there is no sex predilection and affected individuals transmit the disease to one fourth of the children, it is autosomal recessive.